Nulliparity and late menopause are risk factors for which of the following group of diseases:-
1. Cervical cancer and endometrial hyperplasia
2. Cervical cancer and endometrial polyp
3. Vulvar cancer and endometrial cancer
4. Endometrial cancer and breast cancer

Correct answer: 4. Endometrial cancer and breast cancer

Explanation: Nulliparity and late menopause are factors associated with increased exposure to estrogen, indicated in the etiology of Endometrial hyperplasia and Breast cancer Unopposed estrogen stimulation is not risk factor in Endometrial polyps, Cervical cancer, or Vulvar cancer.